True about semicircular canals is:
1. Submerged in a fluid called endolymph
2. Base of cupula is in close contact with afferent fibres of cochlear division of the eight cranial nerve
3. Arranged at right angles to each other
4. Associated with hearing

Correct answer: 3. Arranged at right angles to each other

Explanation: Ans. C: Arranged at right angles to each other 3 semicircular canals in each vestibular apparatus known as anterior, posterior and lateral (horizontal) semicircular canals. They are arranged at right angles to each other. They are filled with endolymph Base of cupula is in close contact with afferent fibers of vestibular division of the eight cranial nerve